Article 377 of IPC deals with:
1. Rape
2. Incest
3. Unnatural sexual offence
4. Adultery

Correct answer: 3. Unnatural sexual offence

Explanation: Section 377 IPC prescribes punishment for unnatural sexual offence. It defines unnatural sexual offenses as voluntary sexual intercourse against the order of nature with any woman, man or animal. The punishment given is imprisonment for 10 years and fine. Sec 375 IPC Enumerates six situations under which sexual intercourse by a man with a woman would amount to rape. Sec 376 IPC Deals with punishment for rape. Sec 497 IPC Makes adultery an offence only in case of a person who has had sexual intercourse with a married woman. Sec 362 IPC Deals with abduction. Abduction takes place when a person by force compels or by any deceitful means induces another person to go from any place. Ref: The Essentials of Forensic Medicine and Toxicology By K D Tripathi 27 edn chapter 2.